Burns grading - Grade 2 indicates involvement of:
1. Epidermis
2. Dermis
3. Subcutaneous tissue
4. Deep fascia

Correct answer: 2. Dermis

Explanation: Ref: Sabiston Textbook of Surgery. 19th Edition, Pg: 522.Explanation:Depths of burn injury* First degree--injury localized to the epidermisSuperficial second degree--injury to the epidermis and superficial dermisDeep second degree--injury through the epidermis and deep into the dermisThird degree--full-thickness injury through the epidermis and dermis into subcutaneous fatFourth degree--injury through the skin and subcutaneous fat into underlying muscle or boneRule of ninesEach upper limb 9% Total body surface area (TBS A)Each lower limb 18% TBS AThe torso 18% TBS A each side( anterior and posterior)The head and neck 9% TBS AGenitalia l % TBSAParkland's FormulaTotal percentage body surface area x weight (kg) x 4 = volume ( ml)Half this volume is given in the first 8 hoursSecond half is given in the next 16 hoursFigure: Rule of Nines in Adults